Respiration stops in the last stage of expiration, in forced expiration because of
1. Respiratory muscle fatigue
2. Collapse of alveoli
3. Dynamic compression of airways
4. Breaking effect of inspiratory muscles

Correct answer: 3. Dynamic compression of airways

Explanation: There is dynamic compression of the small airways during forceful expiration.